Pontine stroke is associated with all except
1. Bilateral pin point pupil
2. Pyrexia
3. Vagal palsy
4. Quadriparesis

Correct answer: 3. Vagal palsy

Explanation: In pontine hemorrhage deep coma with quadriplegia usually occurs over a few minutes,prominent decerebrate rigidity and pin-point pupils that react to light,impairment of reflex horizontal eye movements evoked by head turning or by irrigation of ears with ice water. pontine cerebrovascular accident (also known as a pontine CVA or pontine stroke) is a type of ischemic stroke that affects the pons region of the brain stem. A pontine stroke can be particularly devastating and may lead to paralysis and the rare condition known as Locked-in Syndrome (LiS). Ref Harrison20th edition pg 2367